A 9-year-old boy presents with complaints of numbness and tingling in both feet. Examination reveals no pulse in the femoral artery, increased blood pressure in the arteries of the upper extremity, and enlarged intercostal veins. Which of the following abnormalities would be suspected?
1. Double aortic arch
2. Tetralogy of Fallot
3. Postductal coarctation of the aorta
4. Right aortic arch

Correct answer: 3. Postductal coarctation of the aorta

Explanation: Upper limb pulses normal or increased but lower limb pulses absent or impalpable indicates - Postductal constriction No pulse in the femoral artery, increased blood pressure in the arteries of the upper extremity, enlarged intercostal veins, and numbness and tingling in both feet are clinical symptoms indicative of postductal coarctation of the aorta. Because of the constriction of the aorta, the blood supply to the lower extremity is compromised.